Predisposing factors for development of oral carcinoma
1. Smoking
2. Alcohol
3. Syphilis
4. All of the above

Correct answer: 4. All of the above